True about glucagon
1. Hyperglycemia stimulate its release
2. Has no effect in muscle glycogenolysis
3. Stimulates glycolysis
4. Inhibits gluconeogenesis

Correct answer: 2. Has no effect in muscle glycogenolysis

Explanation: Glucagon - a polypeptide hormone secreted by the alpha cells of the islets of Langerhans in response to hypoglycemia or stimulation by growth hormone. It increases blood glucose concentration by stimulating glycogenolysis in the liver and can be administered parenterally to relieve severe hypoglycemia from any cause, especially hyperinsulinism.Ref: Ganong's review of medical physiology; 24th edition; page no: 432